Study the following table carefully and answer the questions -
 Disease  Test ResultPresent Absent  +ve40 225 -ve 10 225 The sensitivity of this study is -
1. 40
2. 20
3. 80
4. 50

Correct answer: 3. 80